Cupuliform cataract starts from-
1. Posterior subcapsular region
2. Anterior capsule
3. Near nucleus
4. Annularly

Correct answer: 1. Posterior subcapsular region

Explanation: Cupuliform cataract is posterior subcapsular cataract and gradually extends outwards. Ref: Parson's 22nd/e p.267, 616& 21st/e p.258, 260; Khurana 7th/e p.194 & 4th/e p.177.